All of the following are clinical features of MEN-II EXCEPT:
1. Pituitary tumour
2. Phaeochromocytoma
3. Medullary carcinoma of thyroid
4. Neuroma

Correct answer: 1. Pituitary tumour

Explanation: Ans. A i.e. Pituitary tumour Pituitary tumours are a part of MEN-I/ Wermer syndrome